Donepezil is used in treatment of -
1. Alzheimer's dementia
2. Schizophrenia
3. Anxiety disorder
4. Depression

Correct answer: 1. Alzheimer's dementia